Mechanism of action of transexaminic acid is?
1. Decrease vascular permeability
2. Smooth muscle contraction
3. Activates Plasmin formation
4. Prevents fibrinolysis

Correct answer: 4. Prevents fibrinolysis

Explanation: Ans. is 'd' i.e., Prevents fibrinolysis o Tranexamic acid binds to the lysine binding sites on plasminogen and prevents its combination with fibrin and thus prevents fibrinolysis.